Mackler's triad consists all, except?
1. Thoracic pain
2. Dyspnea
3. Cervical subcutaneous emphysema
4. Vomiting

Correct answer: 2. Dyspnea

Explanation: Mackler's triad Thoracic pain Vomiting Cervical subcutaneous emphysema Seen in Boerhaave syndrome